Gold standard diagnostic test in varicose veins is
1. Photoplethysmography
2. Duplex imaging
3. Ultrasonography
4. Radio - labeled fibrinogen study

Correct answer: 2. Duplex imaging